Willis Ekbom disease is:
1. Delusional parasitosis
2. Restless leg syndrome
3. Somnambulism
4. Autism in orphans

Correct answer: 2. Restless leg syndrome

Explanation: Restless leg syndrome is also called as "Willis Ekbom" disease.
Ekbom syndrome is Delusional parasitosis.